Blood group associated with Gastric cancer is
1. O
2. A
3. B
4. AB

Correct answer: 2. A

Explanation: (B) A # Blood group A is associated with an increased risk for stomach cancer and poorer survival and O group people are associated with increased risk of gastric ulcer.> This observation may be related to differences in the mucous secretion, leading to altered mucosal protection from carcinogens.> A germ line mutation in the E-cadherin gene (CDH1), inherited in an autosomal dominant pattern and coding for a cell adhesion protein, has been linked to a high incidence of occult diffuse type gastric cancers in young asymptomatic carriers.> Duodenal ulcers are not associated with gastric cancer.